During extraction of tooth to known cardiac patient experienced angina this was most likely to be precipitated by
1. Allergy to LA
2. Stimulus of pain and anticipation
3. Adrenaline in drug
4. Upright position of chair

Correct answer: 2. Stimulus of pain and anticipation